Glue ear -
1. Is painful
2. Is painless
3. Radical mastoidectomy is required
4. NaF is useful

Correct answer: 2. Is painless

Explanation: Glue Ear/serous Otitis Media is a painless condition
Ref. Dhingra 5/e, p 72, 6/e, p 64; Current Otolaryngology 2/e, p 658